A middle-aged male comes to the outpatient department (OPD) with the only complaint of hoarseness of voice for the past 2 years. He has been a chronic smoker for 30 years. On examination, a reddish area of mucosal irregularity overlying a portion of both cords was seen. Management would include all except:
1. Cessation of smoking
2. Bilateral cordectomy
3. Microlaryngeal surgery for biopsy
4. Regular follow-up

Correct answer: 2. Bilateral cordectomy

Explanation: The mentioned symptoms indicate that either it is pachydermia laryngitis or it can be early carcinoma: Both the conditions can be distinguished by biopsy only In either conditions: smoking is a causative factor and should be stopped. Regular follow up is a must in either of the conditions. Bilateral cordectomy is not required even if it is glottic cancer because early stages of glottic cancer are treated by radiotherapy. Management of pachydermia is microsurgical excision of hyperplastic epithelium (cordectomy has no role).